M.C. psychological features of AIDS is
1. Mania
2. Depression
3. Suicidal Tendency
4. Violence

Correct answer: 2. Depression

Explanation: B i.e. Depression Depression is most common psychological feature in: AIDSQ Post paumQ/ Post myocardial infarctionQ Post surgery Myxedema OCN leads to secondary depressionQ Pseudo dementia & Nihilistic delusions are seen in depressionQ.